According to "Rule of 9 of Wallace" for an adult multiple-Burns patient, Percentage of burns in perineum is considered to be __% of Body Surface Area :
1. 1%
2. 5%
3. 9%
4. 14%

Correct answer: 1. 1%

Explanation: Ans- A According to "rule of nine" 1. Each upper limb is 9% 2. Each lower limb is 18% 3. Torso is 18% each side 4. Head and neck 9% 5. Perineum 1 % Note -Patient's whole hand is 1 % TBSA and is useful guide in small burn.